Reversible change from on cell type to other is known as -
1. Hyperplesia
2. Hypertrophy
3. Metaplesia
4. Dysplasia

Correct answer: 3. Metaplesia

Explanation: Ans. is 'c' i.e., Metaplesia Metaplasia is an adaptive change in which one adult (mature) cell type is replaced by another adult (mature) cell. It is completely reversible